Animal hair are ?
1. Fine
2. Thin
3. With large scales
4. Thick cortex

Correct answer: 3. With large scales

Explanation: Ans. is 'c' i.e., With large scales Trait Human hair Animal hair General Fine and thin Coarse and thick Cuticle Scales short, broad, flattened/thin Scales large, wavy projections/step-like projections Cortex Thick, 4-10 times as broad as medulla Thin, rarely more than twice as broad as medulla Medulla Varies, narrow, continuous, fragmented or absent, medullary index < 1/3 Continuous, wider medullary index > 1/2 Pigment Evenly distributed Present near the medulla Precipitin test Specific for human Specific for animal